Strength of gypsum products is generally expressed
in terms of?
1. Compressive Strength
2. Tensile Strength
3. Wet Strength
4. Green Strength

Correct answer: 1. Compressive Strength